Peripheral blood smear in Plasmodium falciparum infection may show all of the following except -
1. Male gametocyte
2. Trophozoite
3. Female gamatocyte
4. Schizont

Correct answer: 4. Schizont